Basal Metabolic Rate depends most closely on:
1. Lean body mass
2. Body mass index
3. Obesity
4. Body surface area

Correct answer: 1. Lean body mass

Explanation: A i.e. Lean body mass